A patient is having Mitral stenosis. His x-ray will show all of the following finding except
1. Lifting up of left bronchus
2. Double atrial shadow
3. Obliteration of retrosternal shadow on lateral x-rays
4. Posterior displacement of esophagus on barium swallow

Correct answer: 3. Obliteration of retrosternal shadow on lateral x-rays

Explanation: C i.e. Obliteration of retrosternal shadow on lateral X Ray